A patient is in ventricular fibrillation with hypotension, unresponsivenes, peripheral pulses are not felt. What would be the initial management of this patient?
1. Lignocaine push
2. Amiodarone push
3. Atropine push
4. 200 Joule Defibrillation

Correct answer: 4. 200 Joule Defibrillation

Explanation: Defibrillation. Connect the AED/defibrillator and check for a shockable rhythm. If a shockable rhythm is present, continue CPR while the defibrillator is charging. Deliver one defibrillation shock to the patient (monophasic, 200 J for an adult, 2 J/kg for a child; or equivalent biphasic energy). Ref Harrison 20th edition pg 1421